In anal sex what is the child passive agent called?
1. Catamite
2. Paedolite
3. Paedophile
4. Paederasty

Correct answer: 1. Catamite

Explanation: Ans. is 'a' i.e., Catamite